Ascitic fluid with increased SAAG is found in?
1. Tuberculosis
2. Congestive Heart Faliure
3. Nephrotic syndrome
4. Pancreatitis

Correct answer: 2. Congestive Heart Faliure

Explanation: Ascitic fluid with increased SAAG (>1.1g/dl) is found in CHF.